'Double set up examination' is concerned with
1. Placenta previa
2. Manual removal of placenta
3. Twin pregnancy
4. Bicornuate uterus

Correct answer: 1. Placenta previa

Explanation: - 'Double set up of examination' is done when there is suspicion of placenta previa and patient is having bleeding. - It is done under anesthesia, in operation theater, keeping everything ready for cesarean section. - A Digital examination through the cervix is done. Palpation of placenta on lower segment not only conclusively confirms the clinical diagnosis but also identifies its degree. *If the placenta is not felt within approximate 10 cms diameter of the internal os, then the patient can be taken up for a trial of normal vaginal delivery *If the placenta is felt within 10 cms of the cervical rim or if there is bleeding due to the examination, then an immediate cesarean section is performed